Gillmore needle is used for
1. Testing the strength of plaster of paris
2. Evaluating the setting time of plaster of paris
3. Testing the metal hardness
4. Testing the purity of noble metals

Correct answer: 2. Evaluating the setting time of plaster of paris